Corachobrachialis is pierced by which nerve
1. Axillary
2. Median
3. Musculocutaneous
4. Ulnar

Correct answer: 3. Musculocutaneous

Explanation: Ans. is 'c' i.e., Musculocutaneous Nerve Muscle piercedMusculocutaneous CorachobrachialisMedian Pronator teresUlnar Flexor carpi ulnarisDeep branch of radial Supinator (Posterior interosseous nerve)